Toilet training should be started at what age?
1. 2 years
2. 3 years
3. 4 years
4. 5 years

Correct answer: 1. 2 years

Explanation: Ans. A. 2 yearsToilet training should be started after 2 years of age, when the child has spontaneously started indicating bladder and bowel fullness and is able to follow simple instructions.